A 79-year-old man has had abdominal pain for 4 days. An operation is performed, and a gangrenous appendix is removed. The stump is inverted. Why does acute appendicitis in elderly patients and in children have a worse prognosis?
1. The appendix is retrocecal.
2. The appendix is in the perineal position.
3. The appendix is in the pelvic position.
4. The omentum and peritoneal cavity appear to be less efficient in localizing the disease in these age groups.

Correct answer: 4. The omentum and peritoneal cavity appear to be less efficient in localizing the disease in these age groups.

Explanation: The omentum and peritoneal cavity seem to be less efficient in localizing the disease in these age groups. Appendicitis has a particularly high-complication rate in infants and the elderly. Delay in establishing the accurate diagnosis in these two age groups also contributes to a worse prognosis.